A lady with prolapsed uterus after Fothergill's repair will complain of following except :
1. First trimester abortion
2. Cervical dystocia
3. Premature labour
4. Premature rupture of membrane

Correct answer: 1. First trimester abortion

Explanation: Ans. is a i.e. First trimester abortion Fothergill's repair : Steps Preliminary D and C Amputation of cervix Strengthening the cervix by suturing cut end of Mackenrodt ligament in front of cervix Anterior Colporrhaphy Colpoperineorrhaphy Complications : 1. Cervical amputation leads to : -- Incompetent os -- Habitual abortion (second trimester abortion and Preterm deliveries -- Premature rupture of membranes -- Decreased fertility Excessive fibrosis causes stenosis leading to dystocia during labour. Hematometra (Very rare) Recurrence of prolapse